The process of complete fluorination in Desflurane produces all the following effects except:
1. Decreases blood and tissue solubility
2. High vapor pressure
3. High potency
4. Requirement of special vaporiser

Correct answer: 3. High potency

Explanation: The process of complete fluorination of the ether molecule has several effects. It decreases blood: tissue solubility which results in loss of potency. It also results in a high vapour pressure owing to decreased intermolecular alteration requiring new heated pressurized vaporizer.